Runt's disease is associated with
1. Acute rejection
2. Hyperacute rejection
3. GVHD
4. Chronic rejection

Correct answer: 3. GVHD

Explanation: GVHD Robbins, 7 edition, Page 222 * Runt's disease: is a pathological condition in which cells from the transplanted tissue of a donor initiate an immunologic attack on the cells and tissue of the recipient Complications of small bowel transplantation: * Most of the mortality after bowel transplantation is due to sepsis and multiorgan failure. * The risk of infection after small bowel transplantation is heightened by the additional requirements for immunosuppression in order to control graft rejection. * This accounts for the relatively high incidence of Lymphoproliferative disease (around 10%) observed in patients who have undergone small bowel transplantation. * Because of the large amount of donor lymphoid tissue transplanted Graft- Versus-Host Disease (GVHD) may occasionally be an added complication